In transitional phase of secretory stage:
1. Ameloblasts undergo apoptosis
2. 25% of cells die during transitional phase
3. Cell volume and organelle decreases
4. All of the above

Correct answer: 4. All of the above

Explanation: Transitional Phase of the Presecretory Stage

Ameloblasts undergo significant morphological changes.
Height of cell reduces.
Cell volume and organelle decreases.
Ameloblasts undergo programmed cell death (Apoptosis)
25 of cells die during during transitional phase.